Moist burn refers to ?
1. Simple burns
2. Scalds
3. Electric burns
4. Thermal burns

Correct answer: 2. Scalds

Explanation: Ans. is 'b' i.e., Scalds Dry heat (e.g. flame) Simple burns (or burns).Moist heat - Scalds.